In acute pancreatitis all are seen EXCEPT:
1. Raised amylase
2. Hypercalcemia
3. Hypocalcemia
4. Increased serum lipase

Correct answer: 2. Hypercalcemia

Explanation: ANSWER: (B) HypercalcemiaREF: Schwartzs Principles of Surgery 9th edition chapter 33. Pancreas"Hypercalcemia is a cause of acute pancreatitis and hypocalcaemia is seen in acute pancreatitis"Because pancreatic acinar cells synthesize, store, and secrete a large number of digestive enzymes (e.g., amylase, lipase, trypsinogen, and elastase), the levels of these enzymes are elevated in the serum of most pancreatitis patients.Serum amylase concentration increases almost immediately with the onset of disease and peaks within several hours. It remains elevated for 3 to 5 days before returning to normal. There is no significant correlation between the magnitude of serum amylase elevation and severity" of pancreatitisComplications of Acute PancreatitisLocalPancreatic phlegmonPancreatic abscessPancreatic pseudocystPancreatic ascitesInvolvement of adjacent organs, with hemorrhage, thrombosis, bowel infarction, obstructive jaundice, fistula formation, or mechanical obstructionSystemicA. Pulmonary1. Pneumonia, atelectasisAcute respiratory distress syndromePleural effusionCardiovascularHypotensionHypovolemiaSudden deathNonspecific ST-T wave changesPericardial effusionHematologicHemoconcentrationDisseminated intravascular coagulopathyGI hemorrhagePeptic ulcerErosive gastritisPortal vein or splenic vein thrombosis with varicesRenalOliguriaAzotemiaRenal artery/vein thrombosisMetabolicHyperglycemiaHypocalcemiaHypertriglyceridemiaEncephalopathySudden blindness (Purtscher s retinopathy)Central nervous systemPsychosisFat emboliAlcohol withdrawal syndromeFat necrosisIntra-abdominal saponificationSubcutaneous tissue necrosisEtiologies of Acute PancreatitisAlcoholBiliary tract diseaseHyperlipidemiaHereditaryHypercalcemiaTrauma (External, Surgical)Endoscopic retrograde cholangiopancreatographyIschemiaHypoperfusionAthero embolicVasculitisPancreatic duct obstructionNeoplasmsPancreas divisumAmpullary and duodenal lesionsInfectionsVenomDrugsIdiopathic